Breast milk is rich in all except -
1. Lactose
2. PUFA
3. Sodium
4. Lactalbumin

Correct answer: 3. Sodium

Explanation: Ans. is 'c' i.e., Sodium Nutritional value of breast milkA) Carbohydrateo Lactose is in a high concentration in breast milk which helps in the absorption of calcium and enhances the growth of lactobacilli in the intestine.B) Proteino The protein content of breast milk is low which causes lower solute load on the kidney. Most of the protein is whey proteins (lactalbumin and lactoglobulin), which can be digested easily (In contrast cow milk contains more casein).o Breast milk contains the ideal ratio of the amino acids cystine, taurine and methionine to support development of central and peripheral nervous system.C) Fatso Breast milk is rich in polyunsaturated fatty acids, necessary for the myelination of the nervous system and brain growth.o Active lipase in the breast milk promotes digestion of fats and provides FFA. The pattern of fats facilitates absorption of calcium.D) Mineralso Breast milk protects against neonatal hypocalcemia and tetany due to ideal calcium phosphorus ratio (2:1) and better calcium absorption.o Iron of breast milk is very well absorbed breast feeding prevents against iron deficiency anemiao Breast milk also prevents deficiencies of vitamin A, C, D, E and zinc.o Breast milk has a water content of 88% and hence a breastfed baby does not require additional water in the first 6 months of life even in summer months.o Breast milk has a low mineral and sodium content low osmolality presents a low solute load to the kidney.